Irreversible ototoxicity is caused by -
1. Cisplatin
2. Cyclophosfamide
3. Bleomycin
4. Chlorambucil

Correct answer: 1. Cisplatin

Explanation: Ans. is 'a' i.e., Cisplatin "Cisplatin induced hearing loss is usually bilateral and irreversible"Drugs causing ototoxicityA) Vestibular (primarily)o Aminoglycosides o Mustineo Quinidineo Quinineo Chloroquineo Vancomycino Furosemide o Ethacrynic acido Salicylates (high dose)B) Auditory (primarily)o NSAIDso Ethacrynic acido Vancomycino Aminoglycosideso Cisplatin